Dystocia dystrophia syndrome is seen in:
1. Android pelvis
2. Platypelloid pelvis
3. Anthropoid
4. Gynaecoid pelvis

Correct answer: 1. Android pelvis

Explanation: Dystocia dystrophia syndrome: This syndrome is characterized by the following features: The patient is stockily built with bull neck, broad shoulders and short thighs. She is obese with a male distribution of hairs. They are usually subfertile, having dysmenorrhea, oligomenorrhea or irregular periods. There is increased incidence of pre-eclampsia and a tendency for postmaturity. Pelvis is of the android type. Occipito-posterior position is common. During labor, inertia is common and there is a tendency for deep transverse arrest or outlet dystocia leading to either increased incidence of difficult instrumental delivery or cesarean section. There is a chance of lactation failure. Reference: D C Dutta Text Book of Obstetrics, 7th edition, page 349